True about Color blindness:
1. Males are more prone
2. Males and females equally affected
3. Autosomal dominant
4. Males are carrier

Correct answer: 1. Males are more prone

Explanation: Ans. (a) Males are more proneRef: A.K. Khurana 6th ed. /329* Color blindness is an X-Linked recessive condition. Females are always carrier and males are always affected. Hence males are more affected than females.* Most common type of color blindness: Deutranopia